H. pylori true about -
1. Gram +ve spiral organism
2. It is a protozoa
3. Causes chronic gastritis in adults due to re-infection
4. Treatment causes regression of gastric lymphoma

Correct answer: 4. Treatment causes regression of gastric lymphoma

Explanation: Ans. is 'd' i.e., Treatment causes regression of gastric lymphoma "Infection of the stomach by the bacterium helicobacter pylori induces the development of gastric MALT (mucosa -associated lymphoid tissue) lymphomas. This association is supported by evidence that patients treated with antibiotics to eradicate H. pylori have regression of their MALT lymphoma". About other options . H pylori is a gram negative (not gram positive) spiral bacillus. . It is a bacteria not protozoa. . H. pylori colonization induces chronic superficial gastritis. It is due to primary colonization, not reinfection. After eradication, reinfection rate causing chronic gastritis is less than .5% per year. . It causes mucosal damage of duodenum due to increased gastric acid secretion, which induces protective gastric metaplasia in the duodenum. The duodenum becomes inflammed and then ulcerated.